Schick test is for - rpt
1. Susceptibility to diphtheria
2. Susceptibility to tetanus
3. Susceptibility to sacrlet fever
4. Susceptibility to RF

Correct answer: 1. Susceptibility to diphtheria

Explanation: Schick test: intradermal test to demonstrate circulating diphtheria antitoxin. This antitoxin may be present either due to previous infection or immunisation. -this test demonstrates the immunity or susceptibility of a person against diphtheria. positive Schick test signifies that the person is susceptible to diphtheria due to absence or lack of adequate amount of circulating antitoxin. negative Schick indicates that the individual is immune to diphtheria. Reference: Baveja textbook of microbiology, 4th edition, pg no:219,220